Which of the following is false regarding dimorphic fungi?
1. Occurs in two growth forms
2. Can cause systemic infection
3. Cryptococcus is an example
4. Coccidioides is an example

Correct answer: 3. Cryptococcus is an example

Explanation: Ans. is 'c' i.e., Cryptococcus is an example(Ref: Ananthanarayan, 9th/e, p. 601, 609; Jawetz, 23rd/e, p. 645)Dimorphic Fungi* Fungi that have two growth forms, such as mold (filaments) and a yeast, which develop under different growth conditions.* In host tissues or cultures at 37degC they occur as yeasts, while in the soil and in cultures at 22degC they appear as moulds.* Most fungi causing systemic infections are dimorphic fungi.Examples:* Coccidioides.* Histoplasma.* Blastomyces.* Paracoccidioides.* Sporothrix (Sporotrichum).* Penicillium marneffi.